All true about effect of propofol on Respiratory system except-
1. Depresses respiratory centre
2. Depresses respiratory drive
3. Bronchodilator
4. Inhibits hypoxic pulmonary vasoconstriction

Correct answer: 4. Inhibits hypoxic pulmonary vasoconstriction

Explanation: Propofol produces doses-dependent respiratory depression with apnea occurring in 25% to 35% patients after induction close. The ventilator response of co2 and apnea also reduces. They are potent bronchodilator. It preserves hypoxic pulmonary vasoconstriction. Blunts upper airway reflexes